Both loop diuretics and thiazides can cause hypokalemia by:
1. Inhibiting proximal tubular K+reabsorption
2. Inhibiting Na+-K+-2Cl-cotransport in the ascending limb of loop of Henle
3. Increasing the availability of Na+in the distal tubular fluid to exchange with interstitial K+
4. Potentiating the action of aldosterone

Correct answer: 3. Increasing the availability of Na+in the distal tubular fluid to exchange with interstitial K+

Explanation: Diuretics prevent the reabsorption of Na+-more amount of Na+ reaches the distal portion of the nephron i.e. late DT and collecting ducts. Na+ is exchanged with K+ and H+ Increased distal delivery of Na+ results in more exchange and thus hypokalemia